All the following are increased in fasting except:
1. Lipolysis
2. Ketogenesis
3. Gluconeogenesis
4. Glycogenesis

Correct answer: 4. Glycogenesis

Explanation: Ans. D. Glycogenesis(Ref: Harper 31/e page 138)Glycogenesis is increased in well fed state.In Fasting state, Glycogenolysis increase, then gluconeogenesis, lipolysis and Ketogenesis are favoured. These pathways are favoured depending on the duration of fasting.